Non-metabolic cause of abdominal pain:
1. DKA
2. Sickle cell anemia
3. Hyperparathyroidism
4. Porphyria

Correct answer: 2. Sickle cell anemia

Explanation: Ans. B: Sickle cell anemia Medical causes of abdominal pain include 1) diabetic ketoacidosis, 2) porphyria and 3) pain arising from the heart or lungs Sickle cell anemia leads to abdominal pain because of visceral blood stasis (non metabolic abnormality) Primary hyperparathyroidism presents with the classic quaet of stones, bones, abdominal groans and psychic moans